Which of the following condition is NOT a contraindication for continuing a normal pregnancy?
1. Primary pulmonary hypertension
2. Wolff-Parkinson-White syndrome
3. Eisenmenger syndrome
4. Marfan syndrome with dilated aortic root

Correct answer: 2. Wolff-Parkinson-White syndrome

Explanation: Risk of maternal mortality with heart disease increases with primary pulmonary hypertension, Marfan syndrome (with aortic involvement), aortic coarctation with valvular involvement and Eisenmenger syndrome. Ref: Textbook of Obstetrics by DC Dutta, 6th edition, Page 279.